False statement regarding Lithium is :
1. Maximum plasma concentration is avoided due to low therapeutic index
2. Contraindicated in pregnancy
3. No individual variation in the rate of excretion
4. 80% reabsorbed in the proximal convoluted tubule

Correct answer: 3. No individual variation in the rate of excretion